Combinations of deposition and resorption occurring in the different bones of the skull which result in a growth movement towards the depository surface is termed as
1. Remodeling
2. Displacement
3. Physiologic resorption
4. Drift

Correct answer: 4. Drift